When a patient's chin and mandible deviate to the right upon opening, which of the following is a possible cause?
1. Hyperplasia of the right condyle
2. Fracture of the left condyle
3. Ankylosis of the left condyle
4. Hypoplasia of the right condyle

Correct answer: 4. Hypoplasia of the right condyle